The test in which weight of lungs is compared with body weight is /are:
1. Fodere's Test
2. Ploucquet's Test
3. Raygat's Test
4. Wredin Test/Cavette test

Correct answer: 2. Ploucquet's Test

Explanation: B i.e. Ploucquet's test Weight of lung is measured in Fodere's test, where weight of lung is compared with body weightQ in Ploucquet's test.